Median nerve supplies which branch to the brachial artery-
1. Sensory branch
2. Sympathetic branch
3. Motor branch
4. None

Correct answer: 2. Sympathetic branch

Explanation: Ans. is 'b' i.e., Sympathetic branch * 'Median nerve supplies vascular branches to the brachial artery in the arm. These fibres are sympathetic fibres'* Median nerve has no sensory or cutaneous branch in the arm. The only branches it gives off in the arm are sympathetic branches to the brachial artery.